High energy compound is -
1. ADP
2. ATP
3. GIucose-6-phosphate
4. AMP

Correct answer: 2. ATP

Explanation: Ans. is 'b' i.e., ATP o A compound that liberates 7 Kcal/mol or more on hydrolysis is called high energy compound, or a compound that on hydrolysis undergoes a large (> 7 kcal/mol) decrease in free energy (DG) under standard condition is called high energy compound, Le., DG > - 7 Kcal/mol. For example, ATP liberates 7.3 Kcal/mol on hydrolysis.High energy compounds are: -Phosphate compounds : Nucleotides (ATPQ, GTP, UTP, UDP-glucose), Creatinine phosphateQ, arginine phosphate, 1,3-bisphosphoglycerate, Phosphoenol pyruvate, inorganic pyrophosphate, Carbamoyl phosphateQ, amino acyl adenylate (amino acyl AMP).Sulfur compounds : - CoA derivatives (acetyl CoAQ, Succinyl CoA, fatty acyl CoA, HMG CoA), S-adenosyl methionine (SAM), adenosine phosphosulfate.o A compound which liberates < 7 Kcal/mol on hydrolysis is called low energy compound, i.e., a decrease in free energy is < 7 Kcal/mol, i.e., DG < -7 Kcal/mol. Low energy compounds are glucose-1 -phosphate, fhictose-6-phosphate, glucose-6-phosphate, glycerol-3-phosphate, AMP, ADPQ.